Disability-adjusted life expectancy (DALE) has been replaced by:
1. DALY
2. QALY
3. HALE
4. DFLE

Correct answer: 3. HALE

Explanation: The name of the indicator used to measure healthy life expectancy has been changed from disability-adjusted life expectancy (DALE) to health-adjusted life expectancy (HALE).